Irregular shedding of the endometrium occurs due to :
1. Epithelium being immature
2. It does not show the deciduas-like oedema of the secretory phase
3. Regression of the corpus luteum function
4. Over activity of the corpus luteum function

Correct answer: 4. Over activity of the corpus luteum function

Explanation: Over activity of the corpus luteum function